Stain used to make the wetted area of filter paper strip more visible is
1. Eosin stain
2. Hematoxylin stain
3. Ninhydrin stain
4. Blue stain

Correct answer: 3. Ninhydrin stain